Flowing wax appearance on anterior borders of vertebrae is seen in-
1. Ankylosing spondylitis
2. DISH
3. Psoriatic arthropathy
4. Rheumatoid arthritis

Correct answer: 2. DISH

Explanation: Calcification of Anterior longitudinal ligament- DISH; Diffuse Idiopathic skeletal hyper osteosis Calcification of posterior longitudinal ligament -OPLL: Ossified posterior longitudinal ligament - JAPAN: Disease Ossification / calcification of interosseous membrane - FLUOROSIS